Which of the following investigation work on the same principle?
1. CT and MRI
2. CT and X-ray
3. USG and HIDA Scan
4. MRI and PET Scan

Correct answer: 2. CT and X-ray

Explanation: Principle of: CT :Linear attenuation ofXrays Xray:Xrays (Fluoroscopy also works on the principal of Xrays) MRI: Gyromagnetic property of H+ USG: Pulse-Echo Principle with Piezoelectric effect PET scan: Annihilation and coincidence imagine, gamma rays -511 key HIDA Scan: Radioisotope scintigraphy, gamma rays.